Commonest complication of Caldwell-Luc operations is:
1. Oroantral fistula
2. Infra orbital nerve injury
3. Haemorrhage
4. Orbital cellulitis

Correct answer: 2. Infra orbital nerve injury

Explanation: Ans. B infraorbital nerve palsy Ref. Scott Brown 7th/ed Vol 2 p 1494 M/C Complication of Caldwell-Luc operation is injury to infraorbital nerve which occurs is 21 % cases.